Antiparkinsonian drug activating D2 receptors directly
1. Pramipixole
2. Entacapone
3. Benserazide
4. Selegiline

Correct answer: 1. Pramipixole

Explanation: Direct D2 activators are bromcriptine , pergolide,pramipexole,ropinirole. ENtcapone and tolcapone are COMT inhibitors and selegiline is a MAO inbibitor used in PD.In PD there is decrease of dopamine in the substansia nigra. Ref:KDT 6/e p419